Products accumulated in Hunter 's syndrome are
1. Keratan sulfate
2. Dermatan sulfate
3. Chondroitin sulfate
4. All

Correct answer: 2. Dermatan sulfate

Explanation: B i.e Dermatan sulfate